Paranasal sinuses present at birth
1. Frontal and maxillary
2. Ethmoid and maxillary
3. Frontal and ethmoid
4. Sphenoid and ethmoid

Correct answer: 2. Ethmoid and maxillary

Explanation: The sinuses are rudimentary or even absent at birth.They enlarge rapidly during the age of 6 to 7 years i.e, at thevtime of eruption of permanent teeth and then after puberty.From birth to adult life, the growth of the sinuses is due to the enlargement of the bones; in old age, it is due to resorption of the surrounding cancellous bone. Ethmoid and maxillary sinuses present at birth Ref BDC volume;3.Sixth edition